Myocardial re-infarction inhibitor
1. Beta blockers
2. Nitrates
3. Calcium channel blockers
4. Potassium channel openers

Correct answer: 1. Beta blockers

Explanation: Beta-blockers when given in MI, prevent arrhythmias and also reinfarction.Hence they. increase the morbidity and decrease the mortality . patient when discharged is put on beta blockers. REF: KD Tripathi 8th ed.